Mechanism of action of aspirin is inhibition of:
1. Thromboxane A2 synthesis
2. Phosphodiesterase
3. HMG-CoA reductase
4. Pancreatic lipase

Correct answer: 1. Thromboxane A2 synthesis

Explanation: Aspirin inactivates cyclo-oxygenase by irreversible acetylation of the enzyme and thereby inhibit the synthesis of throboxane A2. From medical pharmacology padmaja 4th edition Page no 344